If the pocket depth is 5 mm and gingival recession
is 3 mm then the total loss of attachment is:
1. 8 mm
2. 3 mm
3. 5 mm
4. 2 mm

Correct answer: 1. 8 mm